Features of facial nerve palsy are all except -
1. Loss of salivation
2. Lossoflacrimation
3. Facial muscle paralysis
4. Loss of taste sensation from posterior tongue

Correct answer: 4. Loss of taste sensation from posterior tongue

Explanation: Ans. is 'd' i.e., Loss of taste sensation from posterior tongue o Facial nerve paralysis produces following manifestations : -# Weakness of the muscle of the facial expression and eye closure, which results in : -i) Absence of nasolabial foldii) Wide palpable fissureiii) Epiphoraiv) Drooping of angle of mouthv) Loss of wrinkles of foreheadvi) The face sags and is drawn across to the opposite side on smiling.vii) Voluntary eye closure may not be possible and can produce damage to the conjunctiva and cornea.# In partial paralysis, the lower face is generally more affected.# Loss of taste sensation over anterior 2/3 of tongue.# Intolerance to high-pitched or loud noises, i.e. Hyperacusis (due to stapedius muscle paralysis,)# Loss of lacrimation and salivation occur.